A 59-year-old man suffers a massive heart attack and expires 24 hours later due to ventricular arrhythmia. Histologic examination of the affected heart muscle at autopsy would show an abundance of which of the following inflammatory cells?
1. Fibroblasts
2. Lymphocytes
3. Macrophages
4. Neutrophils

Correct answer: 4. Neutrophils

Explanation: Neutrophils. During acute inflammation, neutrophils (PMNs) adhere to the vascular endothelium. They flatten and migrate from the vasculature, through the endothelial cell layer, and into the surrounding tissue. About 24 hours after the onset of infarction, PMNs are observed to infiltrate necrotic tissue at the periphery of the infarct. Their function is to clear debris and begin the process of wound healing. Lymphocytes (choice B) and plasma cells (choice E) are mediators of chronic inflammation and provide antigen-specific immunity to infectious diseases. Fibroblasts (choice A) and macrophages (choice C) regulate scar tissue formation at the site of infarction.Diagnosis: Acute myocardial infarction